All of the following are recommended in domiciliary management of seizures EXCEPT?
1. Put the child in recovery position
2. Use intranasal Midazolam spray
3. Do not give anything to eat or drink till the seizure aborts and child becomes conscious and alert
4. Sprinkle water on the face of the child

Correct answer: 4. Sprinkle water on the face of the child

Explanation: Domiciliary management (home management) of seizures include: Putting the child in recovery position (left lateral position) Using intranasal Midazolam spray / buccal Midazolam / Rectal Diazepam Not giving anything to eat or drink till the seizure aborts and child becomes conscious and alert